Best way to plot the change of incidence of disease over time -
1. Line diagram
2. Bar chart
3. Histogram
4. Pie chart

Correct answer: 1. Line diagram

Explanation: Ans. is 'a' i.e., Line diagramo Line diagram is used to show the trend of events with passage of time and shows how the frequency of a particular event (e.g. incidence of disease) vary over time,Line diagram 1 Line chart/Line graph)o It is used to show the trend of events with passage of time and shows how the frequency of a particular event or variable vary over time.DataMethodFrequency of occurrence (comparisons of magnitude)Bar ChartPie chartTrends over timeLine graphDistribution (not related to time)Histogram,Frequency polygonAssociation (Looking for correlation between two variables)Scatter diagram